ANOVA is used:
1. To compare means in 2 groups
2. To compare means in 3 or more groups
3. To compare means in 1 group before and after intervention
4. To find correlation

Correct answer: 2. To compare means in 3 or more groups